Pethidine should not be given with -
1. Reserpine
2. Propranolol
3. Atenolol
4. MAO inhibitors

Correct answer: 4. MAO inhibitors

Explanation: Ans. is `d' i.e., MAO inhibitors o MAO inhibitors inhibit hydrolysis but not detmethylation --> more norpethidine is produced. Hydrolysis Mepridinic acid (major metabolic) Pethidine Dernekiation Norpethidine (minor metabolite) o MAO inhibitors selectively inhibit its hydrolysis without effecting demethylation -4 Accumulation of norpethidine --> Excitement.